Z score measures the bone mineral density compred to ?
1. Age, Race and sex matched individuals
2. Race and sex matched individuals
3. Sex matched individuals
4. None of the above

Correct answer: 1. Age, Race and sex matched individuals

Explanation: Ans. is 'a' i.e., Age, Race and sex matched individuals T Score and Z score are the measures of bone mineral density. Z score : Measures the bone mineral density in terms standard deviation from the mean bone mineral density of age, race and sex matched individuals. T score : Measures the bone mineral density in terms standard deviation from the mean bone mineral density of race and sex matched individuals of normal younger age group.